A 4-year-old male child presents with fever, anemia and azotemia after an episode of dysentery 9 days earlier. The commonest organism responsible for this condition is?
1. Meningococcus
2. E.coli
3. E. histolytica
4. Staphylococcus

Correct answer: 2. E.coli

Explanation: b. E. coli(Ref: Nelson's 20/e p 2540-2543, Ghai 8/e p 487-491)The given condition is most likely HUS for which the most common organism is E. coli, among the given options